Active form of Vitamin D3 is:
1. Calcitriol
2. Calciferol
3. Calcidiol
4. Ergocalciferol

Correct answer: 1. Calcitriol

Explanation: Ans. A CalcitriolRef: Ganong, 25th ed. pg. 378The active metabolite of vitamin D3 is produced in kidney and is called calcitriol or 1,25 dihyroxycholecalciferol. The cells of proximal convoluted tubule produce an enzyme by name of 1 alpha hydroxylase that converts 25 hydroxycholecalciferol into 1,25 dihyroxycholecalciferol.